Liver is divided in 2 halves by all, except-
1. Right hepatic vein
2. Portal vein
3. Hepatic artery
4. Hepatic duct

Correct answer: 1. Right hepatic vein

Explanation: Physiologically right and left lobes are supplied respectively by right and left branches of portal vein and hepatic artery and drain bile into corresponding hepatic ducts (bile duct).